All are features of autistic disorder except -
1. Intellectual disability
2. Absent social smile
3. Onset before 21/2 years
4. Third person hallucination

Correct answer: 4. Third person hallucination

Explanation: Intellectual disability is seen in 50 - 75% of patients with autism.
There is the absence of social smile and eye to eye contact.
Onset is before 21/2 years.
Third person hallucination is characteristic of schizophrenia.